The definitive host for echinococcous granulosa is?
1. Man
2. Sheep
3. Hound
4. Dog

Correct answer: 4. Dog

Explanation: Ans. is 'd' i.e., Dog